Deep transverse arrest is most commonly seen in:
1. Android pelvis
2. Gynaecoid pelvis
3. Flat pelvis
4. Anthropoid pelvis

Correct answer: 1. Android pelvis

Explanation: Android pelvis